Which of the following are exploring instruments
1. DG16
2. CK17
3. JW17
4. All of the above

Correct answer: 4. All of the above